All are true about chaperones except ?
1. Cause folding of proteins
2. Are lipid in nature
3. May have ATPase activity
4. Include heat shock proteins

Correct answer: 2. Are lipid in nature

Explanation: Ans. is 'b' i.e., Are lipid in nature Chaperones are proteins (not lipid). Chaperones Certain proteins play a role in the assembly or proper folding of other proteins without themselves being components of the latter. Such proteins are called molecular chaperones. Most chaperones exhibit ATPase activity and bind ADP and ATP. This activity is important for their effect on folding. Some Properties of Chaperone Proteins Present in a wide range of species from bacteria to humans Many are so-called heat shock proteins (Hsp) Some are inducible by conditions that cause unfolding of newly synthesized proteins (eg, elevated temperature and various chemicals) They blind to predominantly hydrophobic regions of infolded proteins and prevent their aggregation They act in part as a quality control or editing mechanism for detecting misfolded or otherwise defective proteins Most chapersones show associated ATPase activity, with ATP or ADP being involved in the protein-chaperone interaction Found in various cellular compartments such as cytosol, mitochondria, and the lumen of the endoplasmic reticulum